Receptors of LDL is/are -
1. B 100
2. B 48
3. APO Al
4. APO A 1 1

Correct answer: 1. B 100

Explanation: Ans. is 'a' i.e., B 100Apo B-100 acts as a ligand for binding to LDL receptor.Also knowApo E in IDL acts as ligand for LDL receptor mediated endocytosis of IDL and chylomicron remnants. So, Ligand for LDL receptors are :(i) APO B-100 (for LDL)(ii) APO E (for IDL & Chylomicron remnants)